All of the following statements about 'yaws' are true except -
1. Caused by Treponema pertenue
2. Transmitted non venerally
3. Secondary yaws can involve bone
4. Late stages of yaws involve heart and nerves

Correct answer: 4. Late stages of yaws involve heart and nerves